Support of uterus -
1. Urogenital diaphragm
2. Pubocervical ligament
3. Perineal body
4. All of the above

Correct answer: 4. All of the above

Explanation: Ans. is 'd', i.e., all of the above ,The uterus is primarily supported by the pelvic diaphragm, perineal body and the urogenital diaphragm. Secondarily, it is supported by ligaments and the peritoneal ligament the broad ligament of uterus o All are Supports of uterus. A Primary Supports: o Muscular or active support of Uterus: Pelvic diaphragm Perineal body Urogenital diaphragm o Ligamentous (Fibromuscular or Mechanical) support o Transverse cervical ligaments of Mackenrodt or Cardinal ligament Uterosacral ligament Round ligament of the uterus Pubocervical ligament Uterine axis B. Secondary supports formed by peritoneal ligaments o Broad ligament o Uterovesical fold of peritoneum o Rectovaginal fold of peritoneum o Pelvic diaphragm consists of levator ani and coccygeus.